One of the features given below is essential in the diagnosis of a fracture of a bone
1. Deformity
2. A crepitus
3. A partial or complete loss of continuity of the bone
4. None of the above

Correct answer: 3. A partial or complete loss of continuity of the bone

Explanation: C i.e. A partial or complete loss